About Langerhans cell histiocytosis, true are all except:
1. Peak incidence less than 3 years of age
2. Radiosensitive
3. Diffuse form is known as Letterer-Siwe-disease
4. Gonadal involvement occurs

Correct answer: 4. Gonadal involvement occurs

Explanation: d. Gonadal involvement occurs(Ref: Nelson's 20/e p 2484-2489; Ghai 8/e p 620-623)a. Peak incidence less than 3 years of age: True; More common and more severe in younger childrenb. Radiosensitive: True, as Bone lesions and Pituitary lesions, causing DI, respond well to radiotherapyc. Diffuse form is known as Letterer-Siwe disease: Trued. Gonadal involvement occurs: FALSE; Gonadal involvement is usually not seen in LCH.